Exception to the rule of professional secrecy is allowed under following circumstances except ?
1. Court of law
2. Cases of suspected crime
3. In negligent suits
4. In interest of relatives

Correct answer: 4. In interest of relatives

Explanation: Ans. is 'd' i.e., In interest of relatives Professional secrecy is an implied ethical and legal obligation (or contract), that the doctor will not divulge any thing he comes to know concerning patient during the course of his professional work. Doctor is liable to damages for its breech. However, it is justified in certain circumstances, to disclose information to proper authority, and this is known as privileged communication. It is defined as a communication made by doctor to a proper authority that has corresponding legal, social, and moral duties to protect the public. Privileged communication is made in certain circumstances where the doctor is justified in disclosing information about his patient. Such communication is regarded as privileged and is an exception to the general rule of professional secrecy between doctor and patient. Example are :? 1) In court of law : When asked by judge. 2) As compulsor duty : Every doctor has to give details of birth, death and communicable disease. 3) As a social duty : If health of a patient can cause danger to society, e.g. :- i) Railway engine driver being colour blind. ii) Bus driver being epileptic, drug addict or hypertensive. iii) Pilot having refractive errors. iv) Hotel waitor suffering from TB or being typhoid carrier. v) Swimming pool user suffering from STD (e.g. syphilis) or infectious disease. vi) Person suffering from STD or HIV infection likely to marry. vii) Cases of food poisoining. viii) Water pollution. 4) In cases of suspected crime. 5) In self interest, both in civil and criminal suits by patient. 6) When a servant is sent by master. 7) In negligent suits when doctor is employed by opposite pay to cross-examine patient who filed the suit. 8) In insurance reports, he can report any disease found. But he should not answer queries of insurance company or solicitor without the patient consent. 9) In the interest of patient : If patient is not taking proper care, details can be communicated to the relatives.